The most common cause of diarrhea in children is –
1. Vibrio cholerae
2. E. coli
3. Rota virus
4. Pneumococcus

Correct answer: 3. Rota virus

Explanation: "Rotaviruses are recognized as the most common cause of diarrhoea disease in infants and children".
Causes of acute diarrhea in children